Lacunar type of reed sternberg cell is seen in ?
1. Nodular sclerosis
2. Lymphocyte predominance
3. Mixed cellularity
4. Lymphocyte depletion

Correct answer: 1. Nodular sclerosis

Explanation: Ans. is 'a' i.e., Nodular sclerosis